A new born presents with swelling in base at the spine in which meninges herniates through bony defect cause is?
1. Defect in pedicle
2. Defect in body
3. Defect in fusion of vertebral arches
4. Defect in transverse process

Correct answer: 3. Defect in fusion of vertebral arches

Explanation: Spina bifida occurs when local regions of the neural tube fail to fuse or there is failure in formation of the vertebral neural arches .